Le-facies expression is due to
1. Hanging
2. Strangulation
3. Throttling
4. Cafe coronary

Correct answer: 1. Hanging

Explanation: Ans. (a) HangingRef: The essentials of FSM by KS Narayan Reddy 31st ed./319* Le facies sympathique is an expression which is seen in cases of antemortem hanging.* When the ligature knot presses on cervical sympathetic, the eyes on the same side may remain open and its pupil dilated. This particular finding is known as le facies sympathique.